Man is definitive host for -
1. Echinococcus
2. Malaria
3. Filariasis
4. Rabies

Correct answer: 3. Filariasis

Explanation: W.bancrofti passes its life cycle in two host Man -definite host Mosquito-intermediate host The adult worms are harboured in the lymphatic system of man. The lymph provides nutrition to adult worms (refer pgno:166 baveja 3 rd edition)